Couple protection rate should be _____ to achieve Net Reproduction rate 1
1. 40%
2. 50%
3. 60%
4. 70%

Correct answer: 3. 60%

Explanation: Couple protection rate - is an indicator of prevalence of contraceptive practice in a community NRR = 1 can be achieved if CPR > 60% CPR (India): 54%